Birth is to be registered within -
1. 7 days
2. 14 days
3. 21 days
4. 30 days

Correct answer: 3. 21 days

Explanation: Ans. is 'c' i.e., 21 days Vital event Registration to be done within Birth 21 days Death 21 days Marriage 30 days Pregnancy NO LEGISLATION YET